Moderately increases risk for invasive breast carcinoma is associated with which of the following-
1. Sclerosing adenoma
2. Apocrine metaplasia
3. Duct Ectasia
4. Atypical ductal hyperplasia

Correct answer: 4. Atypical ductal hyperplasia